All of the following veins are formed from vitelline vein EXCEPT:
1. Hepatic vein
2. Superior vena cava
3. Inferior vena cava
4. Superior mesenteric vein

Correct answer: 2. Superior vena cava

Explanation: - Vitelline vein forms Hepatocardiac segment of IVC Hepatic veins and sinusoids, ductus venosus, portal vein, inferior mesenteric vein, superior mesenteric vein, splenic vein Vitelline vein of each side are connected by anastamosis with each other :-Proximal, Middle, Distal. These carry blood from yolk sac to sinus venosum - Superior vena cava is basically contributed by anterior cardinal vein.